Confirmatory diagnostic test used in HIV
1. ELISA
2. SIMPLE test
3. Western Blot Assay
4. RAPID test

Correct answer: 3. Western Blot Assay